Mercury is disposed by
1. Controlled combustion
2. Deep burial
3. Chemical treatment
4. Safely collect and re-use

Correct answer: 4. Safely collect and re-use